Fairback triangle is seen in DELETE
1. CDH
2. SCFE
3. Congenital coxa vara
4. Perthes disease

Correct answer: 3. Congenital coxa vara

Explanation: Repeat question